During replication of DNA, which one of the following enzymes polymerizes the Okazazki fragments?
1. DNA Polymerase I
2. DNA Polymerase II
3. DNA Polymerase III
4. RNA Polymerase I

Correct answer: 3. DNA Polymerase III

Explanation: Okazaki fragments are short segments of DNA synthesized on the lagging strand, during the process of DNA replication. DNA polymerase III is a highly "processive" enzyme that has a 1 g unit which acts as a clamp loader for the lagging strand Okazaki fragments, helping the two b subunits to form a unit and bind to DNA. The polymerization of okazaki strands are done by DNA polymerase III. Ref: Lehninger Principles of Biochemistry, 4th Edition, Page 961; Lippincott's Illustrated Reviews: Biochemistry, 3rd Edition, Chapter 11, Pages 401-3